Internal acoustic meatus contains:
1. Facial nerve
2. Hypoglossal nerve
3. Glossopharyngeal nerve
4. Vagus nerve

Correct answer: 1. Facial nerve

Explanation: Ans: a (Facial nerve)Ref: Chaurasia, 3rd edi., vol-3, Pg. 112Contents of the internal acoustic meatus Facial nerve- motor root Nervus intermedius Labyrinthine vesselsVestibulococclear nerve